Which one of the following is not an operation for uterine inversion?
1. O sullivan
2. Haultain
3. Spincelli
4. Fentoni

Correct answer: 4. Fentoni

Explanation: Ans. is d, i.e. FentoniRef Dutta Obs. 7/e, p 422; IAN Donald Obstetrics 7/e, p 592Surgical Procedures to Correct Uterine InversionVaginal operationsAbdominal operationsHydrostatic method* Spincelli* Huntingtons procedures* O sullivan method* Kustner* Haultain* Oguch method* Oejo* Robinson